Koener's tumor are seen in?
1. Tuberous sclerosis
2. Neurofibromatosis
3. VHL
4. NF

Correct answer: 1. Tuberous sclerosis

Explanation: Ans. (a) Tuberous sclerosis(Ref: Robbins 9th/pg 516)Ungual fibromas or Koenen's tumors are angiofibromas which occur in the lateral nail groove, along the proximal nail fold or under the nail. They are seen in Tuberous Sclerosis